Increased pulmonary blood flow radiologically indicated by all except:
1. Descending pulmonary artery diameter > 16 mm
2. Kerley B lines
3. Diameter of 2 peripheral arteries > accompanying bronchus
4. Peripheral arteries more than 6 in outer 1/3rd

Correct answer: 2. Kerley B lines

Explanation: (Refer – M.Satpathy’s Clinical Diagnosis of Congenital Heart Disease, 1st edition, pg no: 38)
Features of increased pulmonary blood flow

Blood vessels become visible in the outer third of lung field (At least 6 vessels can be traced to theouter third). When hilar and intrapulmonary vessels are uniformly changed, it is very suggestive of shunt lesions.
Ratio of right descending pulmonary artery to trachea > 1
Right descending pulmonary artery diameter> 14 mm suggests increased blood flow and >17 mm is very strongly suggestive
Prominent end-on vessels seen at hilum
Enface vessels below 10th posterior rib
Prominent vessels seen below crest of diaphragm
Ratio of vessels to adjacent bronchus >2:1